Tubular maximum for kidney in practice is actually less than the calculated value because ?
1. Different nephrons have different transport maximum
2. Depends on GFR
3. Depends on renal blood flow
4. Depends on blood Pressure

Correct answer: 1. Different nephrons have different transport maximum

Explanation: A i.e., Different nephrons have different transport maximum